The muscle stylopharyngeus is supplied by which nerve ?
1. Vagus
2. Spinal accessory
3. Glossopharyngeal
4. Facial

Correct answer: 3. Glossopharyngeal

Explanation: The motor fibers are derived from cranial accessory nerve through the branches of the vagus. They supply all muscles of pharynx,except the stylopharyngeus which is supplied by the glossopharyngeal nerve Ref.BDC volume 3,Sixth edition 235